All are true about centchroman except :
1. Anti oestrogenic
2. Not a teratogen
3. Long acting pill
4. Failure is 10 per 100 women years

Correct answer: 4. Failure is 10 per 100 women years

Explanation: Failure is 10 per 100 women years